LDH 5 is seen in ?
1. Kidney
2. Heart
3. Liver
4. Prostate

Correct answer: 3. Liver

Explanation: LDH is an enzyme present in the cytoplasm of cells. LDH is present in the heart, liver, RBCs, kidney, skeletal muscles, lung and brain. When there is an injury to the cells LDH spells into the bloodstream. Five isoenzymes make the total LDH. These are; LDH 1 is present in the cardiac muscle and RBCs. LDH 2 is present in the cardiac muscle and RBCs. LDH 3 is present mainly in the lung and other tissues. LDH 4 is present in the kidneys, pancreas, and placenta. LDH 5 is present in the skeletal muscles and liver.